In Wilm's tumor the following leads to emergence of resistance to chemotherapy -
1. Nephrogenic rests
2. Monophasic morphology
3. Anaplasia
4. Capsular infiltration

Correct answer: 3. Anaplasia

Explanation: Ans. is 'c' i.e., Anaplasia